Uterine blood flow at term is?
1. 800-1200 ml/min
2. 50-70 ml/min
3. 175-200 ml/min
4. 500-750 ml/min

Correct answer: 4. 500-750 ml/min

Explanation: The massively increased uterine blood flow necessary to maintain pregnancy is made possible by significant hypertrophy and remodeling of all pelvic vessels. After delivery, their caliber diminishes to approximately the size of the pre pregnant state. Uterine blood flow is increased from 50 ml/min in non pregnant states to about 750 ml near term. The increase is due to the combined effect of utero-placental an feto-placental vasodilation. The vasodilation is due to smooth muscle relaxing effects of progesterone, oestrogen, nitric oxide, prostaglandins and ANP. Ref: Cunningham F.G., Leveno K.J., Bloom S.L., Hauth J.C., Rouse D.J., Spong C.Y. (2010). Chapter 30. The Puerperium. In F.G. Cunningham, K.J. Leveno, S.L. Bloom, J.C. Hauth, D.J. Rouse, C.Y. Spong (Eds), Williams Obstetrics, 23e.